Most common testicular tumour
1. Seminoma
2. Teratoma
3. Sertoli cell tumour
4. Chorio ca

Correct answer: 1. Seminoma

Explanation: Seminoma is the most common germ cell tumor of the testis or, more rarely, the mediastinum or other extra- gonadal locations. It is a malignant neoplasm and is one of the most treatable and curable cancers, with a survival rate above 95% if discovered in early stages.